Erythroblastosis fetalis is an example of which type of hypersensitivity reaction ?
1. Type I
2. Type II
3. Type III
4. Type IV

Correct answer: 2. Type II

Explanation: Ans. is 'b' i.e., Type II Erythroblastosis fetalis and blood transfusion reactions are type II hypersensitivity reactions.